The disease which is imported into a country in which it does not occur is known as
1. Exotic
2. Sporadic
3. Pandemic
4. Enzootic

Correct answer: 1. Exotic

Explanation: Exotic- Diseases which are imported into a country in which they do not otherwise occur. Ref : Park 23rd edition Pgno : 93